Which of the following is a stain for heart failure cells?-
1. PAS
2. Prussian blue
3. Sudan black
4. Oil red

Correct answer: 2. Prussian blue

Explanation: Heart failure cells: Hemosiderin-laden macrophages Found in lung affected by CVC lung and not in the heart. Hemosiderin pigment in these cells stains blue with Prussian blue stain (Perl's stain).